Which of the following anti–fungal drugs has only topical action ?
1. Fluconazole
2. Ketoconazole
3. Itraconazole
4. Clotrimazole

Correct answer: 4. Clotrimazole